Corpus Callosum is classified under
1. Projection fibers
2. Commisural fibers
3. Short association fibers
4. Long association fibers

Correct answer: 2. Commisural fibers

Explanation: Corpus callosum are commmisural fibers. White matter tracts of the cerebrum Commissural fibers: Connects corresponding regions of two hemispheres. They include Corpus callosum Anterior and posterior commisure Habenular commisure of fornix Hippocampal commisureof fornix. Association Fibers: Connects various cortical regions withinn the same hemisphere. They are classified as Short association fibers: lie immediately under the cortex and connnects adjacent gyri. Eg:- arcuate fasciculus. Long association fibers: Uncinate fasciculus Cingulum Superior longitudinal fasciculus Inferior loongitudinal fasciculus Fronto-occipital fasciculus Projection fibers: Internal capsule Corona radiata Ref: Snell's Clinical Neuroanatomy 8th edition Pgno: 262